The evaluation in a newly diagnosed case of acute lymphoid leukaemia (ALL) should routinely include all of the following except
1. Plasma viscosity
2. Bone marrow biopsy
3. Cellsurface phenotyping
4. Complete metabolic panel

Correct answer: 1. Plasma viscosity

Explanation: Viscosity testing is typically reserved for cases of multiple myeloma where paraproteins (particularly IgM) can lead to vascular sludging and subsequent tissue ischemia. ref - Harrison's internal medicine 20e pg, 758, 758t, 759 .